A child comes with a circular 3cm x 3cm scaly patchy hair loss with itching in the lesions. The investigation of choice is
1. Split skin smear
2. KOH mount
3. Gram stain
4. Tzanck smear

Correct answer: 2. KOH mount

Explanation: Itchy lesions over head with hair loss likely suggestive of Tinea capitis and KOH mount of hairs is the investigation of choice.